In triage green colour indicates
1. Ambulatory patients
2. Dead or moribund patients
3. High priority treatment or transfer
4. Medium priority or transfer

Correct answer: 1. Ambulatory patients

Explanation: Triage consists of rapidly classifying the injured on the basis of the severity of their injuries and the likelihood of their survival with prompt medical intervention. The most common classification uses the internationally accepted 4 colour code system. RED indicates high priority treatment or transfer, YELLOW signals medium priority, GREEN indicates ambulatory patients and BLACK for dead or moribund patients. Reference : page 796 Park's textbook of Preventive and Social Medicine 23rd edition